A 3 year old child was brought to a physician, his mother was complaining of cranky child who does not eat well and does not sleep well too. On general examination, his teeth were several decayed and had signs of malnutrition. The doctor refer him to a pedodontist.
In the first appointment, the dentist will
1. Start the endodontic treatment of the grossly decayed
2. Examinate the teeth and take radiography
3. Extract the root pieces
4. Start the restoration of decayed teeth

Correct answer: 2. Examinate the teeth and take radiography